The group of thumb sucking in which the thumb do not contact the lower incisors, according to Subtleny et al:
1. Group I
2. Group II
3. Group III
4. Group IV

Correct answer: 3. Group III

Explanation: Subtleny et al (1973) noted four types of thumb-sucking depending upon the

Amount of pushing of tongue inside the oral cavity
The contact between the thumb and the palate 
The contact between the thumb and anterior teeth.